A 7-year-old boy with a high fever is brought to the pediatrician. During physical examination the patient complains of pain in his ear. His throat appears red and inflamed, confirming the diagnosis of pharyngitis. Which of the following structures provided a pathway for the infection to spread to the tympanic cavity (middle ear)?
1. Choanae
2. Internal acoustic meatus
3. External acoustic meatus
4. Pharyngotympanic tube

Correct answer: 4. Pharyngotympanic tube

Explanation: The pharyngotympanic (eustachian) tube connects the middle ear and the nasopharynx and is the conduit for spreading infections. The choanae are the openings between the nasal cavity and the nasopharynx, but they are not involved in spreading infection. The internal and external auditory meatuses are not directly associated with the middle ear but are associated with the inner and outer ear, respectively. The pharyngeal recess is a slit-like opening located behind the entrance to the auditory tube in the nasopharynx. Adenoids, enlarged masses of lymphoid tissue, can develop there.